Of the following, the best radiographic examination of the maxillary sinus is performed with?
1. A panorex
2. Periapical views
3. A Water’s view
4. A cephalometric view

Correct answer: 3. A Water’s view